Final common pathway for horizontal gaze involves:
1. Vesitibular nucleus
2. Oculomotor nucleus
3. Abducent nucleus
4. Trochlear nucleus

Correct answer: 3. Abducent nucleus

Explanation: The final common pathway for horizontal gaze is formed by the Paramedian Pontine Reticular formation (PPRF) and the abducent nucleus. Ref: Clinical Pathways in Neuro-Ophthalmology: An Evidence-Based Approach, By Andrew G. Lee, Paul W. Brazis , Page 2071